False about Nasolabial cyst
1. Also know as Klestadt cyst
2. Odontogenic
3. Treated by Excision
4. Seen in the region of Nasalabial fold

Correct answer: 2. Odontogenic